Which of the following oncogenes is a growth factor?
1. fos
2. myc
3. jun
4. sis

Correct answer: 4. sis

Explanation: The 'sis' oncogene is a growth factor. The protooncogene 'sis' encodes the ( b chain of) Platelet Derived Growth Factor (PDGF). Ref: Robbin's Illustrated Pathology, 7th Edition, Pages 293, 295; Cancer: Principles and Practice of Oncology, 6th Edition, Page 13